The drug of choice for prevention of seizures in a patient with severe preeclampsia is -
1. Phenytoin
2. Magnesium sulphate
3. Diazepam
4. Nifedipine

Correct answer: 2. Magnesium sulphate

Explanation: Ans. is 'b' i.e., Magnesium sulphate o Prevention of seizures in severe pre-eclampsia and treatment of seizures in eclampsia is done by magnesium sulphate.